Which of the following statement about Bradykinin is true?
1. Causes pain
2. Causes bronchodilation
3. Causes vasoconstriction
4. Decreases vascular permeability

Correct answer: 1. Causes pain

Explanation: Bradykinin increases vascular permeability, causes contraction of smooth muscles (bronchoconstriction), dilatation of blood vessels and pain. Ref: Urinary Tract By Karl-Erik Andersson, Page 413; Peptidergic G Protein-coupled Receptors: From Basic Research to Clinical Applications By Pierangelo Geppetti, Page 100; The New Angiotherapy By Tai-Ping D. Fan, Elise C. Kohn, Page 94; Robbin's Illustrated Pathology, 7th Edition, Pages 65, 74, 75